Pseudo-Cushing's syndrome seen in
1. Pregnancy
2. Depression
3. Chronic renal failure
4. All of the ablove

Correct answer: 4. All of the ablove

Explanation: Patients with major depression, alcoholism, pregnancy, chronic renal failure, or stress also may have elevated cortisol levels and symptoms of hypercortisolism. However, these manifestations resolve with treatment of the underlying disorder and these patients are deemed to have Pseudo-Cushing's syndrome. ref - Pubmed.com